In a highly selective vagotomy, the vagal supply is severed to -
1. Antrum
2. Proximal two-thirds of stomach
3. Pylorus
4. Whole of stomach

Correct answer: 2. Proximal two-thirds of stomach